Cutaneous infection due to exogenous exposure to TB bacilli in a person who is already sensitized by previous exposure to TB leads to:
1. Lupus vulgaris
2. TB chancre
3. Erythema induratum
4. TB veruccosa cutis

Correct answer: 4. TB veruccosa cutis

Explanation: TB verrucosa cutis also called as anatomist's / pathologist's wart ,presents as wart / cauliflower like hypertrophic lesions typically over fingers and feet.